Measurement of blood pressure is which type of data
1. Continous
2. Ordinal
3. Interval
4. Nominal

Correct answer: 1. Continous